Most common site of colon malignancy is
1. Sigmoid colon
2. Asending colon
3. Descending colon
4. Transverse colon

Correct answer: 1. Sigmoid colon

Explanation: A. i.e. (Sigmoid colon) (1179-B& L 25th) (696 - CSDT 12th) (1060- S. Das 5th)Sigmoid colon is the most common site*** Distribution of colorectal cancerRectum (38%) > Sigmoid colon (21%) > caecum (12%) Transverse colon (5.5%) > Ascending colon (5%)> Descending colon (4%) > Hepatic flexure (2%) and anus (2%) > Appendix (0.5%)* Sigmoid colon segment of colon undergoes maximum postprandial contraction**Right colonLeft colonRectum**Unexplained weakness or Iron deficiency anemia (Most common)* Occult blood in feces* Dyspeptic symptoms* Persistent right abdominal discomfort* Change in bowel habits* Gross blood in stool* Obstructive symptom* Tenesmus* Characteristic x-ray finding* Rectal bleeding alternation in bowel habits* Sensation of incomplete evacuation* Intrarectal palpable tumor* Sigmoidoscopic finding* Metastatic disease - Jaundice, ascitis, hepatomegaly* Carcinoma of the colon - particularly the right colon is more common in women*** Carcinoma of the rectum is more common in men*** Regional lymph node involvement is the most common form of metastasis in colo rectal carcinoma**.* Marker for Gastro intestinal stromal tumour (GIST) is CD-I 17*** High fibre diet is most protective against development of colorectal cancer**Risk factor for Development of colorectal cancer (574 - H17th)* Diet - Animal fat* Streptocccus bovies bacteremia* Hereditary syndrome (AD- Inheritance)* Ureterosigmoidostomy* Polyposis coli* Tobacco-use* Nonpolyposis syndrome (Lynch syndrome) * Inflammatory bowel syndrome